Phaeochromocytoma arises from -
1. Adrenal gland
2. Mediastinum
3. Chest wall
4. Neck

Correct answer: 1. Adrenal gland

Explanation: pheochromocytoma is a neuroendocrine tumor of the medulla of adrenal gland ( Harrison 17pg 2270)